Antisperm antibodies are usually present in the :
1. Cervix
2. Vagina
3. Uterus
4. Fallopian tube

Correct answer: 1. Cervix

Explanation: Cervix